A patient's history notes a documented severe reaction to a penicillin. What other antibiotic is likely to cross-react and so should be avoided in this patient?
1. Aininoglycosides
2. Azithromycin
3. Cephalosporins
4. Erythromycin

Correct answer: 3. Cephalosporins

Explanation: Unless there are no reasonable alternatives, cephalosporins should be avoided for patients with prior severe responses to penicillins because of their cross- reactivity. None of the other drugs or drug groups listed here cross-react in penicillin-sensitive patients.